Drug of choice for Neutropenia due to cancer chemotherapy is -
1. Vitamin B-12
2. IL 11
3. Filgrastim
4. Erythropoietin

Correct answer: 3. Filgrastim

Explanation: Ans. is 'c' i.e., Filgrastin o Filgrastim is a recombinant human granulocyte colony stimulating factor (G-CSF) effective in the treatment of severe neutropenia.